Most recent form of MTA used as an intracanal irrigant?
1. MTA-A
2. MTA-C
3. MTA-D
4. MTA-E

Correct answer: 3. MTA-D